A 52-year-old male with toxic adenoma, treatment of choice is -
1. Surgical-removal of adenoma
2. Radiotherapy
3. Radioactive I2
4. Medical treatment

Correct answer: 3. Radioactive I2